Autoimmunity can be caused due to all of the following except-
1. The pressure of forbidden clones
2. Expression of cryptic antigens
3. Negative selection of T-cells in the thymus
4. Inappropriate expression of the MHC proteins

Correct answer: 3. Negative selection of T-cells in the thymus

Explanation: Autoimmunity is the system of immune responses of an organism against its own healthy cells and tissues. Any disease that results from such an aberrant immune response is termed an autoimmune disease. Prominent examples include celiac disease, diabetes mellitus type 1, sarcoidosis, systemic lupus erythematosus (SLE), Sjogren's syndrome, eosinophilic granulomatosis with polyangiitis, Hashimoto's thyroiditis, Graves' disease, idiopathic thrombocytopenic purpura, Addison's disease, rheumatoid arthritis (RA), ankylosing spondylitis, polymyositis (PM), and dermatomyositis (DM). Autoimmune diseases are very often treated with steroids.